All of the following are Glycoproteinoses, EXCEPT
1. Fucosidosis
2. Sanfilippo A syndrome
3. Sialidosis
4. a-mannosidosis

Correct answer: 2. Sanfilippo A syndrome

Explanation: Ans: b) Sanfilippo A syndrome Sanfilippo A syndrome is a mucopolysaccharidosis, not Glycoproteinoses. Lysosomal hydrolases like a-neuraminidase, b-galactosidase, b-hexosaminidase are involved in the degradation of oligosaccharide chains during glycoprotein turnover. Enzyme defects lead to abnormal degradation of glycoproteins and accumulation of partially degraded glycoproteins in tissues, known as Glycoproteinoses. Glycoproteinoses are classified into lysosomal storage disorders. All Glycoproteinoses are associated with intellectual disability. autosomal recessive mode. Glycoproteinoses Defective enzyme Fucosidosis a-Fucosidase a-Mannosidosis a-Mannosidase b-Mannosidosis b-Mannosidase Aspartylglucosaminuria Aspartylglucosaminidase Sialidosis Neuraminidase